Length of blade in a no 10 and no 40 k file is respectively
1. 16 and 25
2. 25 and 16
3. 16 for both
4. 25 and 22

Correct answer: 3. 16 for both